Neurofibrillary tangles are deposition of
1. Aβ peptide
2. Lewy bodies
3. Tau protein
4. Hirana bodies

Correct answer: 3. Tau protein

Explanation: Neurofibrillary tangles are intraneural depsition of Tau protein in highly phosphary leted form seen in Alzeihmer's disease,Normally tau protein aids microtubutes for axonal transport and hence axonal transport is interupted in Alzheimer's disease.